All are selective serotonin reuptake inhibitor except:
1. Fluoxetine
2. Fluvoxamine
3. Paroxetine
4. Amoxapine

Correct answer: 4. Amoxapine